Actinomycosis most common site -
1. Cervicofacial
2. Thoracis
3. Abdomen
4. Brain

Correct answer: 1. Cervicofacial

Explanation: Ans. is 'a' Cervicofacial ACTINOMYCESMorphologyo Gram positiveo Non motileo Non sporingo Non-acid fasto Non-capsulatedo Filaments that break up into bacillary and coccoid elements.Pathogenesiso Actinomyces are members of normal oral flora and are often cultured from bronchi, GI. tract, and the female genital tract.o Actinomycosis in human beings is an endogenous infection.o The critical step in the development of actinomycosis is disruption of mucosal barrier.o Foreign bodies appear to facilitate infection. This association most frequently involves IUCD.Clinical manifestationso Young males (10-30 years) are most commonly affectedo Actinomycosis is a chronic granulomatous infection. It is characterized by the development of indurated swellings, suppuration and the discharge of sulphur granules.site. (Lumpy jaw)AbdominalPelvicM usculoskeletalo Presents as a softo Presents aso Associated witho Periostitistissue swelling,an abscess orIUCDo Acute or chronicabscess or massa masso Earliest stageosteomyelitislesion, is endometritis o Otitis o May progress to o Sinusitis pelvic masses or o Canaliculitis tuboovarian abscess TreatmentPenicillin is the drug of choice.Tetracycline is used if patient is allergic to penicillin.Remember:Mode of entry is initiated by trauma that introduces these bacteria (not by inhalation).Angle of jaw is the most common site (not brain)Most cases of Actinomycosis are due to A. Israelii.